Ricketsial pox is transmitted by:
1. Louse
2. Soft tick
3. Hard tick
4. Mite

Correct answer: 4. Mite

Explanation: Mite